Deformity with decreased carrying angle is
1. Cubitus varus
2. Mannus varus
3. Cubitus valgus
4. Mannus valgus

Correct answer: 1. Cubitus varus

Explanation: Refer Apleys 9th e p 372 Cubitus varus develops which is reduced carrying angle and Cubitus valgus is increased carrying angle